All of the following statements about the embryology of Meckel's diverticulum are true except:
1. Meckel's diverticulum usually arises from the ileum within 90 cm. of the ileocecal valve.
2. Meckel's diverticulum results from the failure of the vitelline duct to obliterate.
3. The incidence of Meckel's diverticulum in the general population is 20%.
4. Gastric mucosa is the most common ectopic tissue found within a Meckel's diverticulum.

Correct answer: 3. The incidence of Meckel's diverticulum in the general population is 20%.

Explanation: Meckel's diverticulum is a true diverticulum , usually arising from the anti-mesenteric border of the ileum 45-90 cm proximal to the ileo-caecal valve. It is a vestige of the omphalo-mesenteric or vitelline duct, which usually undergoes complete obliteration during the seventh week of gestation. Caused by incomplete obliteration of the vitelline duct Rule of 2s: 2-years-old, 2 ft from ileocecal valve, 2 inch long, 2% of population Usually asymptomatic Painless bleeding due to ulcer caused by heterotopic gastric tissue Obstruction caused by Intussusception, volvulus, hernia